Flexion, adduction & medial rotation at shoulder joint is by which muscle?
1. Pectoralis major
2. Pectoralis minor
3. Trapezius
4. Serratus anterior

Correct answer: 1. Pectoralis major

Explanation: Ans. A. Pectoralis majorThe pectoralis major is a thick, fan-shaped muscle, situated at the chest of the human body. It makes up the bulk of the chest muscles and lies under the breast. The pectoralis major's primary functions are flexion, adduction, and internal rotation of the humerus.It arises from the anterior surface of the sternal half of the clavicle; from breadth of the half of the anterior surface of the sternum and from the aponeurosis of the abdominal external oblique muscle.They all end in a flat tendon, about 5 cm in breadth, which is inserted into the lateral lip of the bicipital groove (intertubercular sulcus) of the humerus.The pectoralis major receives dual motor innervation by the medial pectoral nerve and the lateral pectoral nerve.